A 5 year old boy presents with leukocoria in the right eye which is diagnosed as diffuse retinoblastoma involving the entire globe. Examination of the left eye revealed a small 2-3mm tumor in the periphery. What will be the ideal management of this patient?
1. Enucleation of both eyes
2. Enucleation of right eye and observation for left eye
3. Enucleation of right eye and focal therapy of the left eye
4. Six cycles of Chemotherapy

Correct answer: 3. Enucleation of right eye and focal therapy of the left eye

Explanation: Enucleation remains the treatment of choice for significantly advanced tumors and for tumors with no potential for visual salvage. Focal therapy is used for small tumors usually in patients with bilateral disease and in combination with chemotherapy. Ref: Ophthalmic Oncology - Page 195; Cancer in Children and Adolescents - Page 448.